Cisterna chyli lies in front of vertebrae
1. T11 and T12
2. T12 and L1
3. L1 and L2
4. L2 and L3

Correct answer: 3. L1 and L2

Explanation: Cisterna chyli is a lymph sac lying in front of L1 and L2 vertebrae between aorta and crus of diaphragm.